True about Ischiorectal fossa Boundaries
1. Anterior border is formed by inferior fascia of urogenital diaphragm.
2. Superior border is formed by Gluteus Maximus
3. Lateral border is formed by Levator Ani
4. Posterior border is formed by obturator internus muscle.

Correct answer: 1. Anterior border is formed by inferior fascia of urogenital diaphragm.

Explanation: Ans. (a) Anterior border is formed by inferior fascia of urogenital diaphragm.Ref: IB singh Anatomy 2nd ed. / fig. 25.12ANTERIOR* Fascia of Colles covering the Transversus perinea superficialis* Inferior fascia of the urogenital diaphragmPOSTERIOR* Gluteus maximus* Sacrotuberous ligamentLATERAL MEDIAL* Levator ani* Sphincter ani externus muscle* Anal fascia* Tuberosity of the ischium* Obturator internus muscle* Obturator fasciaSUPERIOR* Levator ani INFERIOR* Skin